In severe metabolic alkalosis all are seen EXCEPT:
1. Pulmonary edema
2. Hypoxia
3. Hypocalcaemia
4. Tetany

Correct answer: 1. Pulmonary edema

Explanation: ANSWER: (A) Pulmonary edemaREF: Harrison 17th edition, chapter 48With metabolic alkalosis, changes in central and peripheral nervous system function are similar to those of hypocalcaemia; symptoms include mental confusion, obtundation, and a predisposition to seizures, paresthesia, muscular cramping, tetany, aggravation of arrhythmias, and hypoxemia in chronic obstructive pulmonary disease. Related electrolyte abnormalities include hypokalemia and hypophosphatemia.